Which one of the following is an oculotoxic drug?
1. Isoniazid
2. Ethambutol
3. Streptomycin
4. Rifampin

Correct answer: 2. Ethambutol

Explanation: Ans. (b) EthambutolRef: Parson's 22/e, p. 244, 366; Kanski 7/e, p. 868)Visual symptoms or toxic optic neuropathy occurs more commonly if dose exceeds 25 mg/kg/day. Patient experiences red-green colour blindness and blurring